Axillary abscess is safely drained by whichapproach?
1. >Medial
2. >Posterior
3. >Lateral
4. >Floor

Correct answer: 4. >Floor

Explanation: Floor An axillary abscess should be incised through the floor of the axilla, midway between the anterior and posterior axillary folds, and nearer to the medial wall in order to avoid injury to the main vessels running along the anterior, posterior and lateral walls.Axilla is pyramidal shaped with an apex, a floor or base and 4 walls (anterior, posterior, medial and lateral)